Which of the following conditions cause congestive heart failure in neonates ?
1. Bicuspid aortic valve
2. Tetralogy of Fallot
3. ASD
4. Total anomalous pulmonary venous return

Correct answer: 4. Total anomalous pulmonary venous return

Explanation: In TAPVR can produce CHF in neonate. Ghai essential of pediatrics, eighth edition, p.no:397